Lord's placation is done for:
1. Inguinal hernia
2. Hydrocele
3. Testicular varices
4. Testicular cancer

Correct answer: 2. Hydrocele